Length of thoracic duct is:
1. 20 cm
2. 25 cm
3. 30 cm
4. 45 cm

Correct answer: 4. 45 cm

Explanation: In adults the thoracic duct, including the confluence of lymph trunks (or the cisterna chyli in the small proportion in whom the latter is saccular) is 38-45 cm in length and extends from the second lumbar vertebra to the base of the neck.